In the life cycle of malaria parasite, the definitive host is -
1. Mosquito
2. Man
3. Pig
4. Sandly

Correct answer: 1. Mosquito

Explanation: Life history of plasmodium The malaria parasite undergoes 2 cycles of development the human cycle (asexual cycle) and the mosquito cycle (sexual cycle). Man is the intermediate host and mosquito the definitive host Ref: Park 25th edition Pgno : 281-285